Anterior compartment of leg contains all except
1. Peroneus brevis
2. Tibialis anterior
3. External hallucis longus
4. External digitorum longus

Correct answer: 1. Peroneus brevis

Explanation: ANTERIOR COMPARTMENT:- Muscles:-1. Tibialis anterior 2. Extensor hallucis longus3. Extensor digitorum longus 4. Peroneus tertius. Artery: anterior tibial artery. The blood supply of anterior compartment is reinforced by the perforating branch of peroneal artery. Nerve:-Deep peroneal nerve. {Reference: BDC 6E vol2 pg 93}